Which of the following is not a neurotic defense mechanism?
1. Isolation
2. Regression
3. Reaction formation
4. Undoing

Correct answer: 2. Regression

Explanation: Regression is an immature defense mechanism. Rest all are neurotic defense mechanism. Eg of neurotic defense mechanism - Displacement Repression Rationalization Reaction formation Intellectualization Isolation of affect Undoing Aim inhibition